In heart disease, prophylactic forceps is applied at head station of:
1. -1
2. 1
3. 0
4. 2

Correct answer: 4. 2

Explanation: In heart disease forceps are applied prophylactically to cut down the second stage of labour and usually low or outlet forceps applied.

Low forceps: Applied when leading point of fetal scalp is at station + 2 and not on pelvic floor.
Outlet forceps: Applied when fetal skull has reached pelvic floor and scalp is visible at the introitus even without separating the labia, i.e. station ≥ + 3